All of the following are true about "Safe and Wholesome Water", except:-
1. It is free from color and odor
2. Free from pathogenic agents
3. It is unusable for domestic purpose
4. Free from harmful chemical pathogens

Correct answer: 3. It is unusable for domestic purpose

Explanation: Safe and wholesome water is usable for domestic purposes Safe and wholesome water has been defined as: Free from pathogenic agents. Free from harmful chemical substances. Pleasant to the taste, i.e. free from colour and odour. Usable for domestic purposes. Water is said to be polluted/ contaminated when it does not fulfil the above criteria.